Syndrome of inappropriate ADH secretion is commonly associated with:
1. Breast carcinoma
2. Ovarian carcinoma
3. Lung carcinoma
4. Hepatocellular carcinoma

Correct answer: 3. Lung carcinoma

Explanation: Ans: C i.e. Lung carcinomaParaneoplastic syndromeParaneoplastic syndromes associated with breast carcinoma are hypercalcemia, dermatomyositis etc.Paraneoplastic syndrome associated with ovarian carcinoma is hypoglycaemiaThe most frequent causes of SIADH include the secretion of ectopic ADH by malignant neoplasms (particularly small cell carcinomas of the lung), drugs that increase ADH secretion etc.Other paraneoplastic syndromes associated with lungs carcinoma are hypercalcemia (squamous cell carcinoma), cushings syndrome (small cell carcinoma), acanthosis nigricansParaneoplastic syndromes associated with hepatocellular carcinoma are carcinoid syndrome and polycythemia